Best IOL is –
1. Anterior chamber
2. Posterior chamber
3. Iris supported
4. Angle supported

Correct answer: 2. Posterior chamber

Explanation: The best position of IOL is within the capsular bag in posterior chamber.